A condition with collagenous degeneration of conjunctiva and invasion of corneal epithelium followed by destruction of stromal layer and Bowman's membrane:
1. Conjunctivitis
2. Trachoma
3. Pinguecula
4. Pterygium

Correct answer: 4. Pterygium

Explanation: Ans. D: Pterygium A pterygium is a degenerative condition of the subconjunctival tissue which proliferate as vascularized granulation tissue to invade the cornea, destroying the superficial layers of the stroma and Bowman's membrane, the whole being covered by conjunctival epithelium